Which of the following is the mechanism of action of methyl dopa?
1. Blockade of beta-adrenergic receptors
2. Agonism of alpha 2 receptors
3. Blockade of alpha 2 receptors
4. Agonism of beta 2 receptors.

Correct answer: 2. Agonism of alpha 2 receptors

Explanation: So, both the Methyl dopa & clonidine are used as Anti- hypertensive drugs. KEY POINTS ABOUT METHYL DOPA It's a prodrug DOC in pregnancy induced hypertension (but if both Labetalol and Methyl dopa are given in option mark Labetalol as the drug of choice S/E of Methyl Dopa - Hemolytic Anemia